What is the treatment of Rhinitis Medicamentos-
1. Withdrawal of nasal drops with short course of steroids
2. Antibiotics
3. Polypectomy
4. Increasing the dose of the nasal drops

Correct answer: 1. Withdrawal of nasal drops with short course of steroids

Explanation: Ans. is 'a' i.e., Withdrawal of nasal drops with short course of steroids o It is treated by withdrawal of nasal drops, short course of systemic steroid therapy and in some cases surgical reduction of turbinates, if they have become hypertrophied.